All of the following are causes of night blindness EXCEPT:
1. Oguchi's disease
2. Vitamin A deficiency
3. High myopia
4. Devics disease

Correct answer: 4. Devics disease

Explanation: Causes of night blindness or nyctalopia: Vitamin A deficiency Tapetoretinal degenerations like retinitis pigmentosa Congenital high myopia Familial congenital night blindness Oguchi's disease Lenticular or corneal opacities Advanced primary open angle glaucoma